Migratory thrombophlebitis is associated with the following malignancies except:-
1. Lung cancer
2. Testicular tumor
3. Pancreas cancer
4. Gastro-intestinal cancer

Correct answer: 2. Testicular tumor

Explanation: Malignancies associated with migratory thrombophlebitis CA pancreas Prostate cancer CA lung Ovarian cancer GI malignancies Lymphoma Trousseau's syndrome: migratory thrombophlebitis Trousseau's sign: Carpopedal spasm in hypocalcemia Troisier's sign: Palpable left supraclavicular LN